Which of the following is marker enzyme for golgi complex?
1. 5' - Nucleotidase
2. Galactosyl transferase
3. Glucose-6-phosphate
4. Catalase

Correct answer: 2. Galactosyl transferase

Explanation: Marker enzyme
Organelle




5' - Nucleotidase
Galactosyl transferase
Glucose-6-phosphate
Catalase
Plasma membrane
Golgi complex
Endoplasmic reticulum
Peroxisome